Immunoglobulins used in RX  of -a) Myastheniab) I.T.P.c) PANd) Wegener's granulomatosise) Guillian Barre syndrome
1. abc
2. bcd
3. cde
4. abe

Correct answer: 4. abe